The positioning of the needle is TRUE regarding thoracocentesis in which of the following statements?
1. Upper border of the rib
2. Lower border of the rib
3. Center of the intercostal space
4. Anterior to the intercostal space

Correct answer: 1. Upper border of the rib

Explanation: The needle should be kept close to the upper border of the rib to avoid injuring the intercostal vessels and nerve in the subcostal groove. Ref: Snell's Clinical Anatomy, 7th Edition, Page 61